Train of four response is shown by all of the following neuromuscular blockers except:-
1. Succinyl choline
2. Mivacurium
3. Vacuronium
4. Rocuronium

Correct answer: 1. Succinyl choline

Explanation: Depolarizing neuromuscular blockers show no fade on Train of Four stimulus thus with succinylcholine there would be no train of four response. Non depolarizing neuromuscular blocker shows fade on train of four stimulus.